Hemoglobin electrophoresis is used as confirmatory test in which of the following anemias?
1. Iron deficiency anemia
2. Polycythemia
3. Hereditary spherocytosis
4. Sickle cell anemia

Correct answer: 4. Sickle cell anemia